Exarticulation of teeth means:
1. Intrusion
2. Extrusion
3. Sublimation
4. Avulsion

Correct answer: 4. Avulsion

Explanation: Avulsion 
Term used to describe the complete displacement of tooth from its alveolus. It is also called as exarticulation and most often involves the maxillary teeth.